Astasia - Abasia is seen in -
1. Parkinsonism
2. Alzeihmer's
3. Schizophrenia
4. Hysterical conversion disorder

Correct answer: 4. Hysterical conversion disorder